Nissl substance is found in:
1. Neuron
2. Hepatocytes
3. Cardiocytes
4. ENterocytes

Correct answer: 1. Neuron

Explanation: Ans. A i.e. Neuron Nissl body/Nissl or tigroid substance It is a large granular body found in neurons. These granules are rough endoplasmic reticulum (RER) with rosettes of free ribosomes, and are the site of protein synthesis. It was named after Franz Nissl, a German neurologist who invented the Nissl staining method